Paralysisof 3rd, 4th, 6th nerves with involvement of ophthalmic division of 5th nerve, localizes the lesion to-
1. Cavernous sinus
2. Apex of orbit
3. Brainstem
4. Base of skull

Correct answer: 1. Cavernous sinus

Explanation: Ipsilateral ophthalmoplegia causing diplopia occur due to 3rd, 4th & 6th cranial nerves. 6th nerve passes through cavernous sinus and others are related to the lateral wall of cavernous sinuses. Ref :ak khurana 6th edition pg no 410 REF IMG